Bidextrous grip is seen at what age?
1. 4 months
2. 5 months
3. 6 months
4. 7 months

Correct answer: 1. 4 months

Explanation: Ans. A. 4 monthsFINE MOTOR MILESTONES: AgeMilestone4 monthsBidextrous reach6 monthsUnidextrous reach9 monthsImmature pincer grasp12monthsMature pincer grasp15monthsImitates scribbling, tower of 2 blocks18monthsScribbles, tower of 3 blocks2 yearsTower of 6 blocks, vertical & circular stroke3 yearsTower of 9 blocks, copies circle4 yearsCopies cross, bridge with blocks5 yearsCopies triangle